Posterior relations of head of pancres are all except:
1. Common bile duct
2. First part of duodenum
3. Aorta
4. Inferior vena cava

Correct answer: 2. First part of duodenum

Explanation: B i.e. First part of duodenumCommon bile duct, inferior venacava lie posterior to head; aorta lies posterior to uncinate process of head; whereas 1St part of duodenum lie superior & anterior to head of pancreas not posterior